All of the following are adverse effects of thioamide group of antithyroid drugs except?
1. Agranulocytosis
2. Aplastic anemia
3. Liver toxicity
4. Lung fibrosis

Correct answer: 4. Lung fibrosis

Explanation: Thioamide group of drugs includes carbimazole,methimazole and Propylthiouracil.
Agranulocytosis and aplastic anemia are rare adverse effect seen with this group of drugs.Propylthiouracil carries the risk of hepatotoxicity.